Which of the following is not a part of classical triad of Symptoms of diabetes?
1. Polyuria
2. Polyphagia
3. Polydipsia
4. Weight loss

Correct answer: 4. Weight loss

Explanation: Classic triad of Diabetes Mellitus are polydipsia (increased thirst), polyphagia (increased appetite and ingestion), and polyuria (increased urination caused by osmotic diuresis) Ref - Harrison's internal medicine 20e pg 2850 chapter396